Most common site of Scaphoid fracture is:
1. Distal fragment
2. Tilting of the lunate
3. Waist
4. Proximal fragment

Correct answer: 3. Waist

Explanation: Ans. C. WaistScaphoid FractureMost frequently fractured of the carpal bonesa. Second only to fractures of the distal radius for all wrist fractureb. MC site of scaphoid fracture: Waistc. Less common site: Proximal and distal polesd. Rare site: Distal tubercle fracture